Dystrophic calcification is commonly seen in
1. Hyperparathyroidism
2. Vitamin D deficiency
3. Atheromatous plaque
4. Renal disease

Correct answer: 3. Atheromatous plaque

Explanation: (C) Atheromatous plaque # DYSTROPHIC CALCIFICATION:> Calcium and phosphorus metabolism and serum levels are normal and calcification occurs as a result of local abnormality in tissue.> Circumstances is which dystrophic calcification occurs: Necrotic tissue: Fat necrosis; Caseation necrosis in the centre of granuloma; Dead parasites (cysticercosis, hydatid cyst etc.) Abnormal blood vessels & heart: Atheromatous plaque; Organized thrombi in veins; Abnormal cardiac valve> Aging or damaged tissue: Pineal gland; Laryngeal cartilage; Monekeberg's medial sclerosis> Neoplasm: Brain tumor (meningioma,craniopharyngioma, oligodendroglioma); Papillary carcinoma thyroid; Serous tumors of ovary; Breast carcinoma; Chondrosarcoma> Tumor Calcinosis: Formation of nodular non neoplastic calcific masses in subcutaneous tissue